A dens in dente is usually caused by:
1. An abnormal proliferation of pulp tissue
2. Denticle formation within the pulp tissue
3. A deep invagination of the enamel organ during formation
4. A supernumerary tooth bud enclaved within a normal tooth.

Correct answer: 3. A deep invagination of the enamel organ during formation